All of the following are essential features of attention deficit hyperactive disease (AD ) except –
1. Lack of concentration
2. Impulsivity
3. Intellectual disability
4. Hyperactivity

Correct answer: 3. Intellectual disability